Wallarian degeneration is seen in
1. Distal to injury
2. Proximal to injury
3. At both ends
4. In cell body (soma)

Correct answer: 1. Distal to injury

Explanation: The destructive and constructive changes which occur in a nerve fibre after injury are called degeneration and regeneration respectively. The degenerative changes in distal part of cut nerve fibre are Wallerian degeneration. Ref: guyton and hall textbook of medical physiology 12 edition page number: 74,75,76